Which of the following does not contain b-alanine?
1. Carnosine
2. Anserine
3. Homocarnosine
4. Pantothenic acid

Correct answer: 3. Homocarnosine

Explanation: Carnosine, Anserine, Pantothenic acid contain b- alanine in their structure Homocarnosine does not contain b alanine..